A 12-year-old child presents with tingling sensation and numbness in the little finger and gives history of fracture in the elbow region 4 years back. The probable fracture is
1. Lateral condyle fracture humerus
2. Injury to ulnar nerve
3. Supracondylar fracture humerus
4. Dislocation of elbow

Correct answer: 1. Lateral condyle fracture humerus

Explanation: A i.e. Lateral condylar fracture humerus